Maxillary artery is a branch of:
1. External carotid artery
2. Internal carotid artery
3. Trigeminal artery
4. Facial artery

Correct answer: 1. External carotid artery